In Recurrent Chalazion histopathological examination is done to rule out
1. Squamous cell Carcinoma
2. Adenoma carcinoma
3. Sebaceous cell carcinoma
4. Adenocystic carcinoma

Correct answer: 3. Sebaceous cell carcinoma

Explanation: (Sebaceous cell carcinoma): (430- Nema 6th edition/457-Parson 21st)CHALAZION* Malignant changes occur but rare, However in all cases with recurrences or those occurring in elderly individuals the lesion should be biopsied to rule out a meibomian cell carcinoma. (444- Parson 21st/ed)* A recurring chalazion, histopathological examination to rule out adenocarcinoma of the meibomian gland* Meibomian gland carcinoma may be seen in elderly people (368- Khurana 5th/ed)Sebaceous gland carcinoma (385.Khurana 5th) - arising from meibomian glands. However Indian, literature reports the sebaceous gland carcinoma being the commonest malignancy of eyelid followed by basal and sequamous cell carcinoma.Common malignant tumours of the eyelidTypeCommon locationClinical featuresSpreadTherapyBasal cell carcinomaMedial canthus.lower lidNodule, central ulceration with pearly surface, telangiectasiaLocalResection, radiationSquamous cell carcinomaLower lid, from previous actinic keratosis- Ulcer with thickened margins, keratosis- PapillomatousLocal, lymph nodesResection, radiation cryotherapySebaceous cell carcinomaUpper lid- Nodule resembling chalazion, multifocal, females > males, recurrences commonLocal, intraeptielial, lymph nodesResection, cryotherapy exenterationMalignant melanomaPrevious nevi> 6 mm size pigmented lesion, vascularization, inflammationLocal, vascular, lymph nodesResction exnteration